Given three general of mosquitoes (Culex, Anopheles, and Aedes) act as vectors for which of the following diseases world wide -
1. Malaria
2. Dengue
3. Filariasis
4. Yellow Fever

Correct answer: 3. Filariasis

Explanation: Anopheles and Aedes cause filaria (not in India), culex cause bancroftian filariasis. Hence filariasis is the one disease caused by all three major genera of mosquito Park's textbook of preventive and social medicine 25th edition.